Posterior part of hypothalamus is concerned with:
1. Regulation of sexual function
2. Role in circadian rhythm
3. Regulation of response to smell
4. Secretion of posterior pituitary hormones

Correct answer: 3. Regulation of response to smell

Explanation: Ans. C i.e. Regulation of response to smell